A 28-year-old woman with diabetes presents with lesions on her leg. They are not painful, and have a central depression and raised irregular margin. Which of the following is the most likely diagnosis?
1. eruptive xanthomas
2. necrobiosis lipoidica diabeticorum
3. gangrene
4. staphylococcal infection

Correct answer: 2. necrobiosis lipoidica diabeticorum

Explanation: (b) Source: (Kasper, p. 2169)This lesion is more frequent in females and may antedate other clinical signs and symptoms of diabetes. The plaques are round, firm, and reddish-brown to yellow in color. They most commonly involve the legs but can also involve the hands, arms, abdomen, and head.